HER-2/ neu receptor play a role in:
1. Predicting therapeutic response
2. Determining treatment for recurrence of tumor
3. Diagnosis of breast Ca
4. Screening of breast Ca

Correct answer: 1. Predicting therapeutic response

Explanation: Ans. is 'a' i.e., Predicting therapeutic response o Overexpression of HER-2/neu in breast cancer patients is associated with poor prognosis and increases disease recurrence. o Overexpression HER-2/neu also predicts good response to transtuzumab (Herceptin), a drug approved for HER-2/ neu overexpressing breast cancer. o Because of its prognostic role as well its ability to predict response to transtuzumab (Herceptin), breast cancers are routinely checked for overexpression of HER-2/neu.